What is true regarding (A-a)O2 gradient? (A = alveolus; a = arterial)
1. Normal gradient ~ 15 mmhg (2 kpa)
2. An increased gradient may be caused by, pulmonary collapse
3. Venous admixture affects (A-a)O2 gradient
4. All

Correct answer: 4. All